Multi drug resistant TB is resistance to:
1. Isoniazid
2. Rifampicin
3. Isoniazid/ rifampicin
4. All first line drugs

Correct answer: 3. Isoniazid/ rifampicin

Explanation: Ans. C. Isoniazid/rifampicinMultidrug resistance in TB is resistance to both isoniazid and rifampicin. It is fatal form of disease. Apart from first line, second line drugs can be given which are levofloxacin, moxifloxacin, kanamycin, amikacin, cycloserine, ethionamide, PAS can be given.